All are true about popliteal fossa except
1. The popliteal fossa is bounded above by tendons of the hamstring muscles and below by two heads of the gastronemius muscle
2. The deepest structure in the popliteal fossa is the popliteal artery
3. The popliteal and femoral vessels are continuous through the adductor hiatus
4. The common peroneal nerve passes superficially through the central portion of popliteal fossa

Correct answer: 4. The common peroneal nerve passes superficially through the central portion of popliteal fossa

Explanation: POPLITEAL FOSSA:- Diamond shaped depression lying behind the knee joint. Boundaries:-1. Superolaterally- biceps femoris2. Superomedially- semitendinosus,semimembranosus, gracilis, adductor magnus, sartorius.3. Inferomedially-medial head of gastrocnemius 4. Inferolaterally-lateral head of gastrocnemius.5. Roof -popliteal fascia.6. Floor- popliteal surface of femur, capsule of knee joint, oblique popliteal ligament and strong popliteal fascia covering the popliteus muscle. Contents:-1. Popliteal artery and its branches.2. Popliteal vein and its tributaries.3. Tibial nerve and its branches.4. Common peroneal nerve and its branches.5. Posterior cutaneous nerve if thigh 6. Genicular branch of obturator nerve.7. Popliteal lymph nodes.8. Fat. Popliteal vessels and tibial nerve crosses the fossa vertically.Tibial nerve- most superficial.Popliteal vein- anterior to tibial nerve.Popliteal artery- deepest structure. In upper part- from medial to lateral-AVN middle- behind forwards-NVA Lower-medial to lateral- NVA Popliteal vessels become continuous through the adductor hiatus. Common peroneal nerve extends from superior angle of fossa to lateral angle. {Reference: BDC 6E. Pg no. 76 chapter-6}